The treatment of metastatic testicular carcinoma is -
1. Bleomycin, Etoposide, Cisplatin
2. Vinblastine, Etoposide, Cisplatin
3. Doxorubicin, 5-FU mercaptopurine
4. Methotrexate, 5-FU, Vincristine

Correct answer: 1. Bleomycin, Etoposide, Cisplatin

Explanation: Cisplatin based chemotherapy is used in advanced stage Testicular tumors.
Cisplatin is combined with Etoposide & Bleomycin.